Which of the following statement is true regarding opening snap?
1. It is a high-pitched diastolic sound
2. It is due to opening of stenosed aortic valve
3. It indicates pulmonary arterial hypertension
4. It precedes the aortic component of second heart sound

Correct answer: 1. It is a high-pitched diastolic sound

Explanation: The high-pitched opening snap (OS) of MS occurs after a very short interval after the second heart sound. The A2-OS interval is inversely proportional to the height of the left atrial-left ventricular diastolic pressure gradient. The intensity of both S1 and the OS of MS decreases with progressive calcification and rigidity of the anterior mitral leaflets.Ref: Harrison; 19th edition; Page no: 1447